All are immediate causes of death in burns except
1. Injury
2. Suffocation
3. Toxemia
4. Shock

Correct answer: 3. Toxemia

Explanation: Immediate causes of death in burns Shock Suffocation Injury Delayed causes of death Toxemia Inflammatory complications Ref: TEXTBOOK OF FORENSIC MEDICINE AND TOXICOLOGY KRISHNAN VIJ FIFTH EDITION PAGE 163